Substance used a bleaching agent in melasma is ?
1. Hydroquinone
2. Hydroxychloroquin
3. Hydrogen peroxide
4. Benzoyl peroxide

Correct answer: 1. Hydroquinone

Explanation: Ans. is'a' i.e., Hydroquinone (Ref : IADVL textbook of dermatology 3'd /e p. 1607) Depigmenting agents (Bleaching agents):Hydroquinone 2-5%Ascorbic acidRetinoidsLiquorice extractAzelaic acid (10-20%)Kozic acid (1-4%)ArbutinNicotinamide